Common location of thoracic pheochromocytoma:-
1. Anterior mediastinum
2. Posterior mediastinum
3. Middle mediastinum
4. Superior mediastinum

Correct answer: 2. Posterior mediastinum

Explanation: "The posterior mediastinum is the usual site of intrathoracic pheochromocytoma. They have also rarely been reported to occur in the middle mediastinum, with involvement of the left atrial wall or interatrial septum and aortic arch"